Amino Acid having role in sleep wake cycle:
1. Tryptophan
2. Phenylalanine
3. Glycine
4. Glutamine

Correct answer: 1. Tryptophan

Explanation: TRYPTOPHAN METABOLISM USE IN - (1)Serotonin, melatonin synthesis Fig:- Synthesis of serotonin and melatonin Use of serotonin - neurotransmitter responsible for mood elevation, git motility, temp. regulation Excretory end product - 5 hydroxy indole acetic acid (increase in urine in carcinoid syndrome) Melatonin synthesized in pineal gland Responsible for biological rhythm in body